Which of the following is false about Rape
1. It is defined under 375 IPC
2. It is punished under 376 IPC
3. Complete vaginal penetration is necessary to call it rape
4. It is considered as rape even if the act is done with consent of female, if  she is less than 18 years old

Correct answer: 3. Complete vaginal penetration is necessary to call it rape

Explanation: As per 375 IPC, Rape includes not only the penetration of penis, but also insertion of any object, any body part of man even partially.